Hyperthyroidism is diagnosed by
1. T3, T4
2. T3, T4, TSH
3. T3, T4, RAI
4. T3, T4, RAI and TSH

Correct answer: 2. T3, T4, TSH

Explanation: Ans. (b) T3, T4 and TSHRef: Bailey and Love page 751/26th editionNormal Values:* TSH: 0.5 to 5 Micro Units/ml* Total T3: 1.5-3.5nmol/l* Total T4: 55-150nmol/l* Free T3: 3-9pmol/l* Free T4: 12-28pmol/l* Radioactive Iodine Uptake Study is useful to diagnose the activity in nodules but not to diagnose Hyperthyroidism as such.